Basophilic inclusion bodies are seen in -
1. Adeno virus
2. Polio virus
3. Measles virus
4. Herpes virus

Correct answer: 1. Adeno virus

Explanation: Basophilic inclusion bodies are seen in adenovirus REF:ANANTHA NARAYANAN MICROBIOLOGY NINTH EDITION PAGE.444